As per WHO, anemia is considered to exist in pregnancy, if the hemoglobin level is below:
1. 11 gm%
2. 14 gm%
3. 12 gm%
4. 13 gm%

Correct answer: 1. 11 gm%

Explanation: Ans. A: 11 gm% Cut off points of hemoglobin for diagnosis of anemia: Adult male-13 gm% Non-pregnant adult female-12 gm% Children, 6 to 14 years-12 gm% Pregnant adult female-11 gm% Children, 6 months to 6 years-11 gm%